Primary increase in CO2 in body is seen in -
1. Respiratory acidosis
2. Respiratory alkalosis
3. Metabolic acidosis
4. Metabolic alkalosis

Correct answer: 1. Respiratory acidosis

Explanation: Primary increase in CO2 in body is seen in Respiratory Acidosis 
Primary decrease or increase in bicarbonate cause metabolic acidosis or alkalosis.
Consider this equation